Definitive sign of scurvy in X-ray ?
1. Ringed epiphysis
2. Ground glass appearance
3. White line in metaphysis
4. Thin cortex

Correct answer: 3. White line in metaphysis

Explanation: Definitive sign of scurvy in X-rays of long bones is the white line of Frenkel,an irregular thickened line at the metaphyses representing calcified cartilage at the zone ofcalcification.Other characteristic findings are ground glass appearance with thinning of cortex and a zone of rarefaction under the white line of metaphysis,as a linear break in the bone running proximally and parallel to the white line.There may be spurs at the level of the white line. There may also be white rings surrounding the epiphyseal centres of ossification. Reference :Essential pediatrics-Ghai,8th edition,page no:120,121.